Gene for Wilm's tumor is located on:
1. Chromosome 1
2. Chromosome 10
3. Chromosome 11
4. Chromosome 12

Correct answer: 3. Chromosome 11

Explanation: Gene for Wilm's tumor is located on Chromosome 11 2 genes associated with Wilms tumour WT1 gene (located on chr 11p13) WT2 gene (located on chr 11p15)